Mechanism of action of Lanatoprost in glaucoma is -
1. Increase uveoscleral flow of aqueous
2. Trabecular absorption is increased
3. Decreases aqueous formation
4. Unknown

Correct answer: 1. Increase uveoscleral flow of aqueous

Explanation: Ans. is 'a' i.e., Increase uveoscleral flow of aqueous